A common side effect associated with all NSAID drugs is
1. Drowsiness
2. Gastric irritation
3. Xerostomia
4. Constipation

Correct answer: 2. Gastric irritation